Movement across socioeconomic levels is termed as –
1. Social equality
2. Social upliftment
3. Social mobility
4. Social insurance

Correct answer: 3. Social mobility

Explanation: Social mobility is the degree to which an individual's family or group's social status can change throughout the course of their life through a system of social hierarchy, i.e. Social mobility refers to movement of individuals/ families across different socioeconomic levels.

Social Upliftment


Social upliftment refers to encouragement and improvement or betterment of previously disadvantaged sections of society.

Social equality

Social equality is a social state of affairs in which different people have the same status in certain respect such as access to education, health care, social securities etc.

Social insurance

Social insurance is a government run insurance programme that offers protection against various economic risks and provides economic assistance to unemployed, elderly or the sick and disabled; within a population. Such programs are funded by taxes or premiums paid by the participants (Participation is often compulsory).